Medial to lateral structure of Fallopian tube are
1. Ampulla, Isthmus, Infundibulum
2. Infundibulum, isthmus, Ampulla
3. Interstitial, isthmus, ampulla, infundibulum
4. Infundibulum, ampulla, isthmus, Interstitial

Correct answer: 3. Interstitial, isthmus, ampulla, infundibulum

Explanation: (Interstitial, isthmus, ampulla, infundibulum) (11- Dutta- Gynaecology 4th)Fallopian tube (Uterine tube) - 4 parts, from medial to lateral they are1. Intramural or interstitial - 1.25cm length - 1 mm in diameter2. Isthmus - almost straight = 2.5 cm length 2.5 mm diameter3. Ampulla - tortuous = 5 cm length ends in wide4. Infundibulum = 1.2 cm length 6mm diameterFunctions -1. Transport of gametes2. To facilitate fertilization and survivl of zygote through its secretion